Most commonly varicose veins are seen with :
1. Long saphenous vein
2. Short saphenous vein
3. Both
4. popliteal and femoral vein

Correct answer: 1. Long saphenous vein

Explanation: Ans. is 'a' ie. long saphenous vein (Schwart, 7/e, p 1021) (not mentioned in 8/e)" The usual distribution of veins is below the knee in branches of the greater saphenous system*